In asymmetrical IUGR, which organ is not affected?
1. Subcutaneous fat
2. Muscle
3. Liver
4. Brain

Correct answer: 4. Brain

Explanation: Ans. D. BrainIntrauterine growth restriction (IUGR) refers to a condition in which a fetus is unable to achieve its genetically determined potential size. In asymmetrical IUGR, the fetal growth occurs during late gestation producing a brain sparing effect. Head circumference is relatively preserved compared to length and weight. Causes include placental insufficiency, pregnancy induced hypertension or maternal medical diseases.